Normal uric acid level is ?
1. 1-2 mg/dl
2. 2-3 mg/dl
3. 3-6 mg/dl
4. 15-Oct

Correct answer: 3. 3-6 mg/dl

Explanation: Ans. is 'c' i.e., 3-6 mg/dl